Daily maintenance fluid for a child weighing 24 kg is:
1. 1000 mL/day
2. 800 mL/day
3. 1540 mL/day
4. 1580 mL/day

Correct answer: 4. 1580 mL/day

Explanation: Fluid requirement in a child in this child weighing 24 kg is:1540 mL. For first 10 kg: 100ml/kg For next 10 kg : 50ml/kg For each kg. above 20 : 20 ml/kg (1-10 kg) 100 x 10 = 1000 mL (11-20 kg) 50 x 10 = 500 mL; For next 4 kg (21-24 kg) 20 x 4= 80 mL